Enamel of teeth is derived from:
1. Endoderm
2. Mesoderm
3. Ectoderm
4. None of the above

Correct answer: 3. Ectoderm

Explanation: In general terms, the ectodermal germ layer gives rise to organs and structures that maintain contact with the outside world:The central nervous system;The peripheral nervous system;The sensory epithelium of the ear, nose, and eye; andThe epidermis, including the hair and nails.In addition, it gives rise to:Subcutaneous glands,The mammary glands,The pituitary gland,And enamel of the teeth.